Submucosal plexus is ?
1. Myenteric plexus
2. Auerbach's plexus
3. Meissner's plexus
4. Tympanic plexus

Correct answer: 3. Meissner's plexus

Explanation: Innervation of GITThe gastrointestinal tract has a nervous system all its own called the enteric nervous system. It lies entirely in the wall of the gut, begining in the esophagus and extending all the way to the anus. The enteric nervous system is composed mainly of two plexus : -i) Myenteric plexus orAuerbach's plexusii) Meissner's plexus or submucosal plexusExtrinsic nerves (Parasympathetic and sympathetic) are connected to both myenteric and submucosal plexuses. Enteric nervous system can function independently of these extrinsic nerves and these extrinsic nerves only modify the activity of the enteric nervous system.Therefore, peristalsis is present even if the intestine is deprived of extrinsic innervation.Parasympathetic stimulation enhances GI motility and secretion where as sympathetic stimulation inhibits motility and secretions.